Chromosome involved in Down's Syndrome is -
1. 21
2. 22
3. 13
4. X chromosome

Correct answer: 1. 21

Explanation: Ans. is 'a' i.e., 21 o Has been explained in previous sessions